Cardiac dominance is based on
1. Anterior interventricular artery
2. Posterior interventricular artery
3. Circumflex artery
4. None of the above

Correct answer: 2. Posterior interventricular artery

Explanation: Cardiac dominance is based on the artery giving the posterior interventricular branch B D CHAURASIA'S HUMAN ANATOMY UPPER LIMB THORAX-VOLUME1 SIXTH EDITION,Page no-265